Stag horn calculi associated with Proteus infection are:
1. Uric acid stones
2. Triple phosphate stones
3. Calcium oxalate stones
4. Cystine stones

Correct answer: 2. Triple phosphate stones

Explanation: Ans. (b) Triple phosphate stonesRef : Bailey & Love 26th ed. Ch 75/1292